Most common catheter induced blood infection is due to-
1. Staphylococcus aureus
2. Coagulase negative staphylococci
3. Gram negative bacilli
4. Candida

Correct answer: 2. Coagulase negative staphylococci

Explanation: Coagulase-negative Staphylococcus (CoNS) is the most commonly encountered organism in CRBSIs( catheter related and blood stream infections) causing between 11% and 45% of infections with an incidence of 15.8 per 10,000 hospital admissions Ref Harrison20th edition pg 1011